Which one of the following muscle relaxant has the maximum duration of action?
1. Atracurium
2. Vecuronium
3. Rocuronium
4. Doxacurium

Correct answer: 4. Doxacurium